What is the diagnosis for a patient with unilateral proptosis with bilateral 6th nerve palsy with chemosis and euthyroid status?
1. Cavernous sinus thrombosis
2. Thyroid ophthalmopathy
3. Retinoblastoma
4. Orbital pseudotumour

Correct answer: 1. Cavernous sinus thrombosis

Explanation: Cavernous Sinus Thrombosis Infection caused due to epidural and subdural infections Most common cause: Staphylococcus aureus Ocular Signs & Symptoms Proptosis Orbital pain and chemosis Abducens palsy f/b Oculomotor and trochlear nerve palsy Corneal reflex decreased Ophthalmoplegia and sluggish reactions C/L eye spread Pappilloedema Central Retinal Artery occlusion can cause decreased Visual Acuity III, IV, V and VI cranial nerves are affected in cavernous sinus syndrome III, IV, V cranial nerves are in close approximation with lateral wall and VI cranial nerve cross through the cavernous sinus.